A patient has complaint of seeing coloured holoes in the evening and blurring of vision for last few days with normal IOP:
1. Prodromal phase of acute angle closure glaucoma
2. Acute angle closure glaucoma
3. Chronic glaucoma
4. Epidemic dropsy

Correct answer: 1. Prodromal phase of acute angle closure glaucoma

Explanation: Ans. is 'a' i.e. Prodromal phase of acute angle closure glaucoma